A previously healthy patient presents with dyspnea and low grade fever since 4 months. His lungs are clear. JVP is normal. ECG showed low voltage complexes. What is the possible diagnosis?
1. Syphilitic aortic aneurysm
2. Hypertrophic cardiomyopathy
3. Rheumatic mitral stenosis
4. Tuberculous pericardial effusion

Correct answer: 4. Tuberculous pericardial effusion

Explanation: Ans. D. Tuberculous pericardial effusionThe presence of low grade fever and dyspnea indicates an infective pathology. The CXR shows an increased CT Ratio which could be a tuberculous pericardial effusion. The diagnosis is given more credence due to low voltage ECG which is seen with a pericardial effusion.